A 16-year-old boy had a flea bite while working in a wheat grain godown. After 4 days he developed fever and had axillary lymphadenopathy. The stain used for smear preparation is
1. Albert staining
2. Ziehl Neelson staining
3. McFadyean's staining
4. Wayson staining

Correct answer: 4. Wayson staining

Explanation: This is a case of plague--Working in godown (rats commonly found) H/o flea bite, In patient 5 days, fever and lymphadenopathy. Wayson stain a polychromatic stain- Y. Pestis can be best demonstrated (other is Giemsa) Bipolar staining or safety pin appearance is seen. Albert stain use for C. diphtheria Z-N stain use for M. tuberculosis and other acid-fast bacteria Mc Fayden reaction used for B. anthracis Ref : Ananthanarayana textbook of Microbiology 9th edition Pgno : 320